In the liver cells, triglycerides are formed primarily in the following organelle:
1. Rough endoplasmic reticulum
2. Smooth endoplasmic reticulum
3. Golgi apparatus
4. Ribosomes

Correct answer: 2. Smooth endoplasmic reticulum

Explanation: Synthesis of triacylglycerols mainly takes place on the smooth endoplasmic reticulum of the liver but can also be generated in adipose cells. Regardless of the location of synthesis, the starting molecule is glycerol-3-phosphate produced in liver from glycerol stores or in adipose cells from dihydroxyacetone phosphate, the product of the fourth step of glycolysis. Ref: Janson L.W., Tischler M.E. (2012). Chapter 7. Lipid Metabolism. In L.W. Janson, M.E. Tischler (Eds), The Big Picture: Medical Biochemistry.